Root completion of the mandibular first molar takes place by the age:
1. 7-8 years
2. 8-9 years
3. 9-10 years
4. 10-11 years

Correct answer: 3. 9-10 years